Miriam, a college student with acute rhinitis sees the campus nurse because of excessive nasal drainage. The nurse asks the patient about the colour of the drainage. In acute rhinitis, nasal drainage normally is:
1. Yellow
2. Green
3. Clear
4. Gray

Correct answer: 3. Clear

Explanation: Normally, nasal drainage in acute rhinitis is clear.
Yellow or green drainage indicates the spread of the infection to the sinuses. 
Gray drainage may indicate a secondary infection.